Drug used in genital herpes infection:
1. Acyclovir
2. Zidovudine
3. Stavudine
4. Lamivudine

Correct answer: 1. Acyclovir

Explanation: Ans: a (Acyclovir) Ref: Shaw, 13th ed, p. 114; Harrison, 16th ed, p. 1029Treatment of Herpes simplex:EncephalitisKeratitis - TrifluridineNeonatal Genital Acyclovir Primary treatment Recurrent treatment -